Sin of Gomorrah is another name for
1. Anal intercourse
2. Lesbianism
3. Buccal coitus
4. Tribadism

Correct answer: 3. Buccal coitus

Explanation: BUCCAL COITUS OR COITUS PER OS OR SIN OF GOMORRAH: The male organ is introduced into the mouth of another male or female usually children. Rarely faint teeth marks and abrasions may be present on the penis. Death may occur due to aspiration of semen, or impaction of the penis in the respiratory tract or stomach. Buccal swabs should be taken which are useful only up to 9 hours. REF: THE SYNOPSIS OF FORENSIC MEDICINE AND TOXICOLOGY 29th edition page no: 225.